Tumefactive lesions are seen most commonly in which disease?
1. Reiter's disease
2. Multiple sclerosis
3. Paget disease
4. Marfan syndrome

Correct answer: 2. Multiple sclerosis

Explanation: Ans. B. Multiple sclerosisTumefactive multiple sclerosis is a condition in which the central nervous system of a person has multiple demyelinating lesions with atypical characteristics for those of standard multiple sclerosis (MS).It is called tumefactive as the lesions are "tumor-like" and they mimic tumors clinically, radiologically and sometimes pathologically.